Alvarado score is used for
1. Acute cholecystitis
2. Acute appendicitis
3. Acute apncreatitis
4. Acute epidydimitis

Correct answer: 2. Acute appendicitis

Explanation: Answer- B. Acute appendicitisScoring system for Acute Appendicitis: Alvarado Score:The diagnosis of appendicitis is based primarily on clinical history and physical examination assisted by blood counts. A number of clinical and laboratory based scoring systems have been devised to assist diagnosis.The most widely used scoring system is Alvarado score.